All the following signs could result from infection with in the right cavernous sinus except-
1. Constricted pupil in response to light
2. Engorgement of the retinal veins upon ophthalmoscopic examination
3. Ptosis of the right eyelid
4. Right ophthalmoplegia

Correct answer: 1. Constricted pupil in response to light

Explanation: Cavernous sinus thrombosis *Patient develops severe pain in the eye and forehead of the involved side. *Conjunctiva is swollen and congested. *Proptosis *Ptosis (due to 3rd N.Palsy) *Dilated pupil (due to 3rd N involvement ) *Retinal veins shows congestion. *Papilloedema *Fundus may be normal Ref: Khurana 7th/e p.428